The type of immunoglobulin most commonly
increased in multiple myeloma is
1. IgG
2. IgA
3. IgM
4. IgD

Correct answer: 1. IgG